Posterior belly of digastric is supplied by?
1. Mandibular nerve
2. Hypoglosal nerve
3. Accessory nerve
4. Facial nerve

Correct answer: 4. Facial nerve

Explanation: D i.e. Facial nerve